Aplastic anemia is seen in all of the following except:
1. PNH
2. Chloramphenicol
3. Hepatitis A
4. HIV- I

Correct answer: 3. Hepatitis A

Explanation: Answer is C (Hepatitis A) Aplastic anemia is associated with Non-A, Non-B, Non-C, Hepatitis and not with Hepatitis A Parvovirus B19, HIV-1, Chloramphenicol and PNH are all associated with Aplastic anemia.